One is not the feature of obstructive jaundice ?
1. Pruritis
2. Elevated level of S.bilirubin
3. Raised alkaline phosphatase
4. Raised Urinary urobilinogen

Correct answer: 4. Raised Urinary urobilinogen

Explanation: Ans is d ie Raised urinary urobilinogen Urobilinogen is produced by the action of ileal and colonic bacteria on conjugated bilirubin in the intestines. It is absorbed and excreted in bile and urine Thus any condition which decreases the bile excretion into intestine, decreases urinary urobilinogen Urinary urobilinogen is a useful tool for distinguishing possible causes of jaundice. Urinary urobilinogen is increased - when production of bilirubin is greatly increased (eg with hemolysis) - when the hepatic uptake and excretion of urobilinogen is impaired (eg in hepatocellular diseases) Urinary urobilinogen is decreased in ? - cholestasis or extrahepatic biliary obstruction (obstructive jaundice)